The recommended rubber dam to provide effective retraction of gingival tissue is
1. Thin
2. Extra heavy
3. Heavy
4. Medium

Correct answer: 3. Heavy